Attitude in posterior dislocation of hip
1. Flexion, abduction and internal rotation
2. Flexion, adduction and internal rotation
3. Flexion, abduction and external rotation
4. Flexion, adduction and external rotation

Correct answer: 2. Flexion, adduction and internal rotation

Explanation: Ref: Textbook of orthopaedics, Maheshwari and Mhaskar, 6th edition Pgno:130